A man with blunt injury abdomen after road side accident has a blood pressure of 100/80 mm Hg and a pulse rate of 120 bpm. Airway has been established and respiration has been stabilized. Next best step in management is?
1. Immediate Blood Transfusion
2. Blood for cross matching & IV fluid adminisration
3. Ventilate the patient
4. Exoplratory laparotomy

Correct answer: 2. Blood for cross matching & IV fluid adminisration

Explanation: Man in the question stem with abdominal trauma with airway and breathing stabilized, is showing features of hypovolemia. According to the ACLS protocol he should receive intravenous fluids and blood should be taken for cross matching to maintain the circulation intact. IV access for fluid resuscitation should be obtained with two 16G peripheral catheters. Blood should be drawn simultaneously and sent for measurement of hematocrit level, as well as for typing and cross-matching for possible blood transfusion in patients with evidence of hypovolemia. Ref: Schwartz's Principles of Surgery, 9th Edition, Chapter 7